Not true about hemorrhoids:
1. First degree-no prolapsed
2. Excision for externo-internal piles
3. Third degree-no surgery
4. Conservative treatment in first degree

Correct answer: 3. Third degree-no surgery

Explanation: Ans. (c) Third degree-no surgeryRef: Sabiston 19th Edition, Pages 1387-1391* Third degree hemorrhoids will have mass protruding out of anal orifice and needs to be reduced manually. The best treatment for 3rd and 4th degree is surgery.